Tibialis posterior is inserted in all the tarsal bones, except:
1. Calcaneus
2. Intermediate cuneiform
3. Cuboid
4. Talus

Correct answer: 4. Talus

Explanation: Talus